Acridine orange is a fluorescent dye used to bind:
1. DNA and RNA
2. Protein
3. Lipid
4. Carbohydrates

Correct answer: 1. DNA and RNA

Explanation: . DNA and RNA